The proper rate of rescue breathing in an adult is:
1. 4 times per min
2. 12 times per min
3. 20 times per min.
4. 28 times per min

Correct answer: 2. 12 times per min